Which of the following is not associated with actions of sirtuins?
1. Inhibit metabolic activity
2. Reduce apoptosis
3. Increased insulin sensitivity
4. Reduced by calorie restriction

Correct answer: 4. Reduced by calorie restriction

Explanation: Sirtuins They are a family of NAD-dependent protein deacetylases. There are at least 7 types They have non-redundant functions designed to adapt bodily functions to various environmental stresses, including Food deprivation and DNA damage. Functions:- These include proteins that inhibit metabolic activity Reduce apoptosis Stimulate protein folding Inhibit the harmful effects of oxygen free radicals. Sirtuins also increase insulin sensitivity and glucose metabolism, and may be targets for the treatment of diabetes.